Broad cast is a feature of
1. Acute Renal failure
2. Chronic Renal failure
3. Acute glomerulonephritis
4. Chronic glomerulonephritis

Correct answer: 2. Chronic Renal failure

Explanation: Broad casts in urine appear as a result of chronic damage to tubules and collecting ducts. It is seen in chronic renal failure.